False about Herpes virus
1. M/C lesion seen is gingivostomatitis
2. Herpetic gladiatorum is seen in wrestlers
3. Steroids are useful in Acute dendritic ulcers
4. Topical Acyclovir is highly specific for herpes simplex

Correct answer: 3. Steroids are useful in Acute dendritic ulcers

Explanation: Steroids are contraindicated in Acute dendritic ulcer.